Ectopic pregnancy is most common in :
1. Previous h/o recurrent PID
2. Previous h/o Abortion
3. Previous h/o Twin pregnancy
4. Endometriosis

Correct answer: 1. Previous h/o recurrent PID

Explanation: Previous h/o recurrent PID